Muscle tone is maintained by ?
1. Golgi tendon organ
2. Renshaw cells
3. Muscle spindle
4. None of the above

Correct answer: 3. Muscle spindle

Explanation: Ans. is 'c' i.e., Muscle spindleSensory receptors (stretch receptors) for stretch reflex are muscle spindles.Stretch reflex has two principal functions :1) To maintain muscle toneTone is a tendency of a muscle to resist being stretched.Muscle tone is not only important for maintaining posture but also facilitates locomotion and makes all voluntary movement smooth.2) To make muscles respond to stretch and releaseStretch reflex makes a muscle respond to stretch by contraction and to release by relaxation.both these responses, which oppose the triggering stimulus, help make voluntary movement smooth and graceful.